Meningoencephalitis caused by which amoeba:
1. E. histolytica
2. Nageleria
3. Giardia
4. E.coli

Correct answer: 2. Nageleria

Explanation: Nageleria